Auditory hallucination is common in
1. schizophrenia
2. delirium tremens
3. cocaine bugs
4. temporal lobe epilepsy

Correct answer: 1. schizophrenia

Explanation: this is the most important and repeted question in entrance examination hallucination is perception without stimulus there are several types of hallucinations based on the modality Auditory hallucination is more common in various psychiatric disorders especially schizophrenia other types of hallucinations are common among other various other disorders this is explained in the table below Ref. Kaplon and Sadock, synopsis of Psyhiatry, Pg. no 194